White colour vision/Perception of white light is due to:
1. Stimulation of red cones more than blue or green
2. Stimulation of blue cones more than red or green
3. Stimulation of green cones more than blue or red
4. Stimulation of red, blue and green cones equally

Correct answer: 4. Stimulation of red, blue and green cones equally

Explanation: Ans. D: Stimulation of red, blue and green cones equallyThere is no single wavelength corresponding to white colour. Perception of white can be achieved by equally stimulating the red, green and blue cones.